Most common site of artery of atherosclerosis ?
1. LAD
2. RCA
3. LCX
4. Diagonal branch of LAD

Correct answer: 1. LAD

Explanation: Ans. is 'a' i.e., LADo Left anterior descending (LAD) artery is the most commonly involved artery.